Xerostomia, Xerophthalmia area part of
1. Sjogren syndrome
2. Riley day syndrome
3. Stevens - Johnson syndrome
4. Vitamin A deficiency

Correct answer: 1. Sjogren syndrome

Explanation: Ans. (a) Sjogren syndromeRef: Kanski 7/e, p. 124-126Sjogren syndrome is characterized by autoimmune inflammation and destruction of lacrimal and salivary glands - thus causing dryness of mouth and Xerosis or xerophthalmia.